Drug not affecting pseudomonas aeruginosa ?
1. Levofloxacin
2. Ampicillin
3. Norfloxacin
4. Ciprofloxacin

Correct answer: 2. Ampicillin

Explanation: Ans. is 'b' i.e., Ampicillin Drugs acting against Pseudomonas. Penicillins - Piperacillin, Carbenicillin, Ticarcillin, Mezlocillin. Cephalosporins - Ceftazidime, Cefoperazone, Cefepime. Carbapenems - lmipenem, meropenem Monobactams - Aztreonam. Aminoglycosides - Tobramycin, Gentamycin, Amikacin. Fluroquinolones - Ciprofloxacin, Levofloxacin, Norfloxacin. Other - Polymixin B, Colistin. For most of the infection of pseudomonas, treatment of choice is the combination of an antipseudomonal plactam and an aminoglycoside.